All the following are signs of right-sided congestive cardiac failure except
1. Hepatomegaly
2. Jugular venous engorgement
3. Pedal edema
4. Cough

Correct answer: 4. Cough

Explanation: Signs of congestive cardiac failure Left-sided Failure Failure of either side Right-sided failure failure Tachypnea Cardiac enlargement Hepatomegaly Tachycardia Gallop rhythm Facial edema Cough Peripheral cyanosis Jugular venous engorgement Wheezing Small volume pulse Pedal edema Rales in chest Lack of weight gain Reference: Essential Paediatrics; O.P. Ghai; Page no: 398